Purtscher retinopathy is seen in patients with -
1. Complication of chronic pancreatitis
2. Occlusion of anterior retinal artery
3. Head trauma
4. Diabetes mellitus

Correct answer: 3. Head trauma

Explanation: Ans. is 'c' i.e., Head trauma Purtscher retinopathyo Occurrence of bilateral patches of retinal whitening and hemorrhage around the optic disc in patients who suffered massive head trauma was first described by Purtscher and is called Purtscher retinopathy.